BRA Cl Gene is located on-
1. Chromosome 13
2. Chromosome 11
3. Chromosome 17
4. Chromosome 22

Correct answer: 3. Chromosome 17

Explanation: Harshmohan textbook of pathology 7th edition BRCA 1 gene located on chromosome no 17, a DNA repair gene is implicated in both breast and ovarian cancer in inherited cases. BRCA 2 gene located on chromosome no 13, DNA repair gene in its mutated form has a similarly higher incidence of inherited cancer of the breast and ovary in the female and prostate in male. .